In chronic lead poisoning, diagnostic increase in levels of:
1. Bile
2. Calcium
3. Urobilinogen
4. Coproporphyrin III

Correct answer: 4. Coproporphyrin III

Explanation: Ans. D i.e. Coproporphyrin III